Hyperchloremic acidosis is seen in -a) RTAb) Diarrhoeac) DKAd) Dehydration
1. ab
2. a
3. ad
4. bc

Correct answer: 1. ab

Explanation: Non anion gap acidosis is also called hyperchloremic acidosis.